Oakley fulthrope procedure is
1. Agglutination test
2. Precipitation test
3. Flocculation test
4. None of the above

Correct answer: 2. Precipitation test

Explanation: Antibody (antiserum) is incorporated in agar, poured into a tube and allowed to harden. A second layer of agar without antibody is placed above and allowed to solidify. Antigen solution is placed above the agar. The precipitin band appears in the plain agar column. Ref ananthnarayana and panikers microbiology textbook 8/e